The test used to diagnose Dubin Johnson syndrome is -
1. Serum transaminases
2. Bromsulphalein test (BSP)
3. Hippurate test
4. Gamma glutamyl transferase level

Correct answer: 2. Bromsulphalein test (BSP)